Stellate wound may be seen in which of the following bullet entry wounds -
1. Contact shot
2. Close shot
3. Distance shot
4. Two feet distance

Correct answer: 1. Contact shot

Explanation: The synopsis of forensic medicine & toxicology ; Dr k.s narayan reddy ;28th edition ;pg.no 130 In a contact shot the muzzle blast & the negative pressure in the barrel following discharge may suck blood ,hair fragments, tissue,cloth fibers several cm. Back inside the barrel called back spatter .back spatter is more common with shotgun.The discharge from muzzle i.e gases,flames,powder,smoke & mettalic particles are blown into the track taken by bullet through the body . the wound is large ,triangular ,stellate ,cruciate ,elliptical showing cavitations.